In microangiopathic hemolytic anemia, cells seen are -a)  Fragmented RBC'sb)  Schistocytesc)  Spherocytesd)  Anisocytes
1. ac
2. ab
3. ad
4. bc

Correct answer: 2. ab